Not be cultured in Sabouraund's agar -
1. Blastomyces
2. Coccidiodes
3. Sporotrichum
4. Rhinosporidium seeberi

Correct answer: 4. Rhinosporidium seeberi